T cell recognizes which antigen in graft rejection?
1. MHC II
2. MHC I
3. Both MHC I & MHC II
4. None

Correct answer: 3. Both MHC I & MHC II

Explanation: Through both direct and indirect pathway